A 24-year-old P2+0 woman presents to the emergency department complaining of pain in her right breast. The patient is postpartum day 10 from an uncomplicated spontaneous vaginal delivery at 42 weeks. She reports no difficulty breast-feeding for the first several days postpartum, but states that for the past week her daughter has had difficulty latching on. Three days ago her right nipple became dry and cracked, and since yesterday it has become increasingly swollen and painful. Her temperature is 38.3°C (101°F). Her right nipple and areola are warm, swollen, red, and tender. There is no fluctuance or induration, and no pus can be expressed from the nipple.
1. Continue breast feeding from both the breasts
2. Breastfeed from unaffected breast only
3. Immediately start antibiotics and breastfeed only when antibiotics are discontinued.
4. Pump and discard breastmilk till infection is over and then continue breatfedding

Correct answer: 1. Continue breast feeding from both the breasts

Explanation: A postpartum lady coming with H/o pain in breast and fever and nipples being warm, red, swollen, with no induration, fluctuance and no pus extruding from them - leaves no doubt that the patient is having mastitis. As discussed in question 9, mastitis is not a contraindication for breast feeding. She should continue feeding from both the breasts.